The tip of the nose is supplied by which of the following nerve
1. Infratrochlear nerve
2. External nasal branch of the anterior ethmoidal nerve
3. Posterior ethmoidal nerve
4. Long ciliary nerve

Correct answer: 2. External nasal branch of the anterior ethmoidal nerve

Explanation: (External nasal branch of the anterior ethmoidal nerve) (766, 831-Snell 7th)Anterior ethmoidal nerve (br of ophthalmic nerve) passes through the anterior ethmoidal foramen and enters anterior cranial fossa on the upper surface of the cribiform plate of the ethmoid. It enters the nasal cavity through a slit like opening alongside of the crista-gali. After supplying an area of mucous membrane, it appears on the face as the external nasal branch at the lower border of the nasal bone, it supplies the skin on the side of the nose down as far as the tip*** Infratrochlear nerve - It supplies the conjunctiva, the lacrimal sac and caruncle, the medial ends of the eyelids and the upper half of the external nose.* Posterior ethmoidal nerve - It supplies the ethmoidal and sphenoidal air sinuses. It is frequently absent.* Long ciliary nerve - They carry sympathetic nerves to the dilator pupillae.Nerves of the common sensation. They are(i) Anterior ethmoidal nerve(ii) Branches of the sphenopalatine ganglion(iii) Branches of infra-orbital nerve, they supply vestibule of nose both on its medial and lateral side.* Most of the posterior two-thirds of nasal cavity (both septum and lateral wall) is supplied by branches of sphenopalatine ganglion (169-Dhingra 3rd)